Which of the following statements is true regarding subclavian steal syndrome?
1. Reversal of blood flow in the ipsilateral vertebral artery
2. Reversal of blood flow in the contralateral carotid artery
3. Reversal of blood flow in the contralateral vertebral artery
4. Bilateral reversal of blood flow in the vertebral arteries

Correct answer: 1. Reversal of blood flow in the ipsilateral vertebral artery

Explanation: Ans. Reversal of blood flow in the ipsilateral vertebral artery